Paradoxical undressing cause of death occurs due to:
1. Hypothermia
2. Dhatura poisoning
3. Immersion syndrome
4. None of the above

Correct answer: 1. Hypothermia

Explanation: Ans. (a) HypothermiaRef: KSN Reddy, Essentials of Forensic Medicine 33rd Ed, Pg. 318* Paradoxical or reciprocal undressing seen in accidental hypothermia, particularly in old persons